Furosemide acts at :
1. PCT
2. DCT
3. Ascending limb of loop of Henle
4. Descending limb of loop of Henle

Correct answer: 3. Ascending limb of loop of Henle